ASO (Antistreptolysin) test is used for the diagnosis of -
1. Rheumatoid arthritis
2. Typhoid fever
3. Rheumatic fever
4. Rickettsial fever

Correct answer: 3. Rheumatic fever